Posterior staphyloma is seen in -
1. Corneal Ulcer
2. Degenerative high axial myopia
3. Chronic Uncontrolled glaucoma
4. Complication of cataract surgery

Correct answer: 2. Degenerative high axial myopia

Explanation: Ans. is 'b' i.e., Degenerative high axial myopia